Pemphigus vegetans is a variant of:
1. Pemphigus Foliaceus
2. Pemphigus vulgaris
3. Pemphigus erythematous
4. Bullous pemphigoid

Correct answer: 2. Pemphigus vulgaris

Explanation: Pemphigus vegetans is a variant of Pemphigus vulgaris characterized by Flaccid blisters, erosions, vegetating masses.